The common etiology of periodontitis is
1. Occlusal trauma
2. Systemic factors
3. Local irritating factors
4. Hormonal defects

Correct answer: 3. Local irritating factors